Pin index system for nitrous oxide:
1. 1,6
2. 2,5
3. 3,5
4. 1,5

Correct answer: 3. 3,5

Explanation: Ans: (c) 3,5Ref: Miller's Anaesthesia 7th ed. / 675GasColor CodePin index positionBodyShoulderOxygenBlackWhite2,5Nitrous oxideBlueBlue3, 5CO2GrayGray1,6HeliumBrownBrown2,5AirGreyWhite/black quartered1,5